Which of the following used as skin antiseptic?
1. Cidex
2. Cresol
3. Chlorhexidine
4. Lysol

Correct answer: 3. Chlorhexidine

Explanation: Option 1 Glutaraldehyde is less toxic, less irritant and less corrosive, hence is best used to sterilize endoscopes and cystoscopes: It is used as 2% concentration (2% cidex) for 20 min. Option 2, 4 Phenolics as disinfectants: Cresol, xylenol, Lysol and oho-phenylphenol are used as disinfectants in laboratories and hospitals. All have the ability to retain activity in presence of organic matter. They are toxic and irritant to skin, hence used as disinfectants but not as antiseptics. Option 3 Skin antiseptics are Halogens: Povidone iodine-Betadine (best) and Tincture iodine. Phenol as antiseptics: Chlorhexidine (Savlon), Chloroxylenol (Dettol). Alcohol: Isopropyl alcohol, Ethanol. Heavy Metal salts: Silver sulfadiazine (burns surfaces), 1% Silver nitrate (Ophthalmia neonatorum) Surface active agents: Cationic detergents, Anionic surfactant (common soaps).u Dyes: Aniline and Acridine.